All of the following statements about nesiritide are true EXCEPT:
1. It is a BNP analogue
2. It can be used in decompensated CHF
3. It can be administered orally
4. It causes loss of Na+ in the urine

Correct answer: 3. It can be administered orally

Explanation: Nesiritide is a Natriuretic peptide useful in heart failure. It is administrated intravenously. It inhibits BNP degradation (REF. Essential of medical pharmacology KD TRIPATHI 8th Edition)